The performance of a prophylactic salpingo-oophorectomy reduced the risk of BRCA-related gynaecologic cancer by
1. 15%
2. 28%
3. 54%
4. 96%

Correct answer: 4. 96%

Explanation: The performance of a prophylactic salpingo-oophorectomy reduced the risk of BRCA related gynaecologic cancer by 96%. The risk of developing subsequent breast cancer was reduced by 50% to 80%.